Mucinous ascites is seen in
1. Stomach ca
2. Nephrotic syndrome
3. TB
4. Cirrhosis

Correct answer: 1. Stomach ca

Explanation: Mucinous ascites is seen in pseudomyxoma peritonei colloid ca of stomach or colon with peritoneal implants